Floccilations are seen in?
1. Mania
2. Depression
3. Anxiety disorders
4. Delirium

Correct answer: 4. Delirium

Explanation: ANSWER: (D) DeliriumREF: Kaplan and saddok's p: 26Aimless picking of bed clothes or clothing is known as floccillations. It is seen in dementia and delirium.